Which of the following is important in calculaton of pearl index -
1. Number of abortions
2. Total accidental pregnancy
3. Socioeconomic status
4. Total gestational period

Correct answer: 2. Total accidental pregnancy

Explanation: Ans. is 'b' i.e., Total accidental pregnancy